Which is true about stab wound :
1. Breadth is maximum
2. Length is maximum
3. Depth is maximum
4. It has wound of entry and exit

Correct answer: 3. Depth is maximum

Explanation: C i.e. Depth is maximum Punture (stab) wound is an injury caused by pointed weapon such as dagger, knife, needle, spear, arrow, scissor, bitchva, ice pick and its depth is greatest dimensionQ.